DOC for the treatment of Tularemia is:
1. Kanamycin
2. Neomycin
3. Streptomycin
4. Chloramphenicol

Correct answer: 3. Streptomycin

Explanation: TULAREMIA: (aka) Rabbit Fever or Deer Fly Fever Is a rare infectious disease that typically attacks the skin, eyes, lymph nodes and lungs. Caused by bacterium Francisella tularensis. STREPTOMYCIN(or gentamicin) is considered as DOC for Tularemia. Most cases respond to the administration of 1-2 g (15-25 mg/kg) streptomycin per day (in divided doses) for 10-14 days.